Which of the vaccine strain changed every year
1. Measles
2. Mumps
3. Influenza
4. Polio

Correct answer: 3. Influenza

Explanation: Influenza virus under goes antigenic shift and causes epidemics and pandemics. It requires vaccine strain also to be changed regularly Ref:- K Park 24th ed; pg num:- 164